The primary lateral incisors begin to calcify about
the:
1. 4th month of life
2. 4th month in utero
3. 41/2 month in utero
4. 5th month in utero

Correct answer: 3. 41/2 month in utero